Which of the following can be ophthalmic complication of DM except -
1. Papillopathy
2. Snowflake cataract
3. Retinopathy
4. Rhegmatogenous retinal detachment

Correct answer: 4. Rhegmatogenous retinal detachment

Explanation: Answer- D. Rhegmatogenous retinal detachmentOcular manifestations of diabetic retinopathy are-1) Non- proliferative diabetic retinopathy (NPDR)-MicroaneurysmsRetinal hemorrhageRetinal edema (Retinal thickening)- macular edema.2) Proliferative diabetic retinopathy (PDR)Hallmark of PDR is the occurance of neovascularization3) Diabetic maculopathyCataract (Snowflake snow storm)Myopia (when there is sudden increase in blood sugar level)Rarely hypermetropiaCranial nerve palsy: 3rd (most common),4th, 5th,7th.Diabetic papillopathy